Which anterior will have 2nd root most commonly
1. Lower Canine
2. Lower Lateral Incisor
3. Upper canine
4. Upper Lateral incisor

Correct answer: 1. Lower Canine